Advantage of titanium over other base metal alloys
1. Low weight
2. Low cost
3. Low strength
4. Low melting point

Correct answer: 1. Low weight